Which of the following is not true about late onset Hemorrhagic disease of Newborn (HDN) ?
1. Begins between 2-7 days of life
2. Intracranial hemorrhage is common
3. Biliary atresia can predispose
4. Warfarin therapy is associated

Correct answer: 1. Begins between 2-7 days of life

Explanation: It is most commonly occurs during first 2 - 12 weeks of age . Reference: GHAI Essential pediatrics, 8th edition